Population growth is said to be less than adequate requirement when NRR is
1. < 1
2. 1
3. > 1
4. 0

Correct answer: 1. < 1

Explanation: Net reproductive rate is defined as the number of daughters a newborn girl will bear during her life time assuming fixed age specific fertility and mortality rates It is a demographic indicator NRR of 1 is equivalent to attaining approximately the 2 child norm If NRR is less than 1, then the reproductive performance of the population is said to below replacement level Reference : Park's textbook of preventive and social medicine, 23rd edition, Page no: 489